Oval cells are seen in the stem cells of which of the following tissue
1. Skin
2. Cornea
3. Liver
4. Bone

Correct answer: 3. Liver

Explanation: Ref Robbins 8/e p85- 86,9/e p28 Hepatic oval cells (HOC) are a small subpopulation of cells found in the liver when hepatocyte proliferation is inhibited and followed by some type of hepatic injury. ... These cells are believed to be bipotential, i.e., able to differentiate into hepatocytes or bile ductular cells